Central clearing is a feature of
1. Lupus vulgaris
2. Tinea corporis
3. Leishmaniasis
4. All of the above

Correct answer: 2. Tinea corporis

Explanation: Tinea corporis, more commonly known as "ringworm," lesions usually begin as pruritic, round (ovoid or circular), erythematous, scaling patches. These lesions spread centrifugally with central clearingand a raised scaling border Ref ganong's review of medical physiology 25e p735